All are macrophages except-
1. Histocytes
2. Kupffer cells
3. Lymphocytes
4. Osteoclasts

Correct answer: 3. Lymphocytes

Explanation: Mononuclear macrophages
o Blood macrophages → Monocytes
o Tissue macrophages → Histocytes
o Lung → Alveolar macrophages
o Brain → Microglia
o Liver → Kupjfer cells
o Bone → Osteoclasts
o Kidney → Mesangial cells